In a stable situation -
1. Incidence = prevalence x Duration
2. Prevalence = Incidence x Duration
3. Incidence = Prevalence + Duration
4. Prevalence = Incidence+ Duration

Correct answer: 2. Prevalence = Incidence x Duration